Erythroblastosis fetalis is an example of which type of hypersensitivity reaction -
1. Type I
2. Type II
3. Type III
4. Type IV

Correct answer: 2. Type II

Explanation: Ans. is 'b' i.e., Type II HYPERSENSITIVITY'Tvpe I (IgE mediated)Tvpe II (IgG. IgM and comnlement mediated)o Wheal & Flare o Eczemao Blood transfusion reactionso Hay fevero Erythroblastosis fetaliso Asthmao Autoimmune hemolytic anemia or thrombocytopenia or agranulocytosiso Atopyo Urticariao Anaphylactic shocko Pemphigus vulgariso Acute dermatitiso Good pasture syndromeo Theobald smitho Bullous pemphigoidphenomenono Pernicious anemiao Prausnitz Kusntero Acute rheumatic fever(PK) reactiono Diabetes mellitus .o Cason i's testo Graves diseaseo Schultz-Daleo Myasthenia gravisphenomenon Type III (IgG IgM. complement and leucocyte mediated)Type IV (Cell mediated)o Local-Arthus reactiono Tuberculin testo Systemic-serum sicknesso Lepromin testo Schick testo Sarcoidosiso Polyarteritis nodosa (PAN)o Tuberculosiso Rheumatoid arthritiso Contact dermatitiso SLEo Granulomatous inflammationo Acute viral hepatitiso Type I lepra reactiono Penicillamine toxicityo Patch testo Hyperacute graft rejectiono Temporal arteritiso Type 2 lepra reaction (ENL)o Jones mote reaction (cutaneous basophilic HSN)o Hypersensitivity pneumonitiso R.A.o Graft rejectiono Infective endocarditiso Fairleys testo Henoch schonlein purpurao Frie's test